Sunder, a young male was diagnosed as suffering from acute myeloid. leukemia. He was started on induction chemotherapy with doxorubicin based regiments. Induction regimen was successful. Two months later, he presents to OPD with swelling of both the feet and breathlessness on climbing the stairs. He also complains the he had to wake up many times because of breathlessness. Which of the following is most likelye responsible for this patients symptoms?
1. Restructive cardiomyopathy
2. Hypertrophic cardiomyopathy
3. Dilated cardiomyopathy
4. Pericardial fibrosis

Correct answer: 3. Dilated cardiomyopathy

Explanation: Ref-Katzung 11/e p952 Anthracyclines (daunorubicin, doxorubicin, epirubicin and idarubicin)can cause severe cardiotoxicity manifesting as dialted Cardiomyopathy and arrhythmias. The anthracycline chemotherapeutic agents (doxorubicin, daunorubicin, epirubicin and idarubicin) form free radicals in the myocardium. Their most severe side effect is a cumulative doserelated dilated cardiomyopathy. It presents with symptoms of left and right ventricular CHF.